Kuppuswamy socioeconomic status scale comprises of -
1. Education, family size and housing
2. Education, occupation and housing
3. Income, family size and land holding
4. Education, occupation and income

Correct answer: 4. Education, occupation and income

Explanation: Kuppuswamy 's socio-economic status scale education occupation family income per month (refer pgno:690 park 23 rd edition)